Which of the following prevents hyperextension of thigh
1. Ischiofemoral ligament
2. Iliofemoral ligament
3. Pectofemoral ligament
4. Puboischial ligament

Correct answer: 2. Iliofemoral ligament

Explanation: B. i.e. Iliofemoral ligament